The vitamin A supplement administered in -Prevention of nutritional blindness in children programme" contain -
1. 25,000 IU/ml
2. 1 Lakh IU/ml
3. 3 Lakh IU/ml
4. 5 Lakh IU/ml

Correct answer: 2. 1 Lakh IU/ml

Explanation: Ans. is 'b' i.e., 1 Lakh IU/mlo According to vitamin A prophylaxis programme children between 9 months and 5 years are given 9 megadoses of vitamin a concentrate at 6 month interval.o The first two doses are integrated with measles vaccination and DPT Ist Booster.o For infant the dose is 1 ml equivalent to 1 lakh IU and in children it is 2 ml i.e. 2 lakh IU.